Example of secondary active transport-
1. K+ transport
2. Water Transport
3. Transport of oxygen
4. Na+-amino acid transport

Correct answer: 4. Na+-amino acid transport

Explanation: Ans. is 'd' i.e., Na+-amino acid transport Transport mechanismExamplesSimple diffusionMovement of fats, oxygen, CO2 through lipid portion of membraneFacilitated diffusionMovement of glucose and some amino-acidsOsmosisMovement of water into and out of the cellPrimary active transportIons K+, Na+, Ca++, H+Secondary active transportGlucose or amino-acid into the cell along Na+ (Symport or cotransport) Ca+2, H+ out of the cell against Na+ (Antiport or countertransport)